Clear cell variety of Renal cell carcinoma is related to gene located on chromosome -
1. 3
2. X
3. 22
4. 20

Correct answer: 1. 3

Explanation: Ans. (a) 3(Ref: Robbins 9th/pg953-955; 8th/pg 964-966)Clear cell variety of Renal cell carcinoma is related to gene located on chromosome 3